Sarita, a 30-year-old woman develops a deep vein thrombosis in her left calf on the fourth postoperative day following cesarean section done for fetal distress. The patient is started on heparin and is scheduled to begin a 6 weeks course of warfarin therapy. The patient Is a devoted mother who wants to breastfeed her baby. What is the advice which is given to the patient?
1. Patient may continue breast feeding at her own risk
2. Patient should breast feed her baby only If her INR is at <2.5
3. Warfarin is absolutely contraindicated during lactation
4. Warfarin is not a contraindication for lactation

Correct answer: 4. Warfarin is not a contraindication for lactation

Explanation: The anticoagulant (warfarin, LMWH or unfractionated heparin) is safe for breastfeeding.Reference: DC Dutta's Textbook of Obstetrics, 8th edition, page no:510